Acute arsenic poisoning is confused with?
1. Ureteric colic
2. Acute gastroenteritis
3. Malaria
4. Diptheria

Correct answer: 2. Acute gastroenteritis

Explanation: AANSWER: (B) Acute gastroenteritisREF: Parikh 6th ed page 9.9"In arsenic poisoning the stools are tinged with blood, watery like the rice water stools of cholera""In arsenic poisoning vomiting is followed by diarrhoea while in cholera diarrhoea is followed by vomiting"RESEMBLANCE OF POISONSPoisoningResemble toArsenicCholera or acute gastroenteritisMercurvDiphtheriaZincMalaria or influenza likeCarbolic acid (phenol)Opium poisoningStrychnineTetanus/Epilepsy/HysteriaAbrus prectoriusViper bite